Rope mistaken for a snake, is an example of
1. Illusion
2. Perception
3. hallucination
4. Synaesthesia

Correct answer: 1. Illusion

Explanation: * ILLUSION= altered perception of a real object * Mistaking a rope for a snake there are some specific type of illusions PAREIDOLIC ILLUSION==vague stimulus (like clouds) are perceived as something known to the patient (image of a dog) Ref. kaplon and sadock synopsis of psychiatry